Daily total requirement of iodine by an adult person is:-
1. 90 mcg
2. 12 mcg
3. 150 mcg
4. 5 grams

Correct answer: 3. 150 mcg

Explanation: -Daily total requirement of Iodine in : Adult person : 150 mcg Pregnant women : 250 mcg During lactation: 220-290 mcg - Lifetime requirement of iodine: 5 grams.